Which is not a pathologic feature of H. pylori chronic gastritis -
1. Eosinophilic infiltrates
2. Intraepithelial neutrophil deposits
3. Affects intestinal gland formation in stomach
4. Subepithelial plasma cell deposits

Correct answer: 1. Eosinophilic infiltrates

Explanation: . Eosinophilic infiltrates